If we reject null hypothesis, when actually it si true it is known as-
1. Type I error
2. Type II error
3. Power
4. Specificity

Correct answer: 1. Type I error

Explanation: Type 1 error. Reference:Simple Biostatistics by Indeayan & Indrayan,1st edition,pg no:155-57.